Brown Tumor is seen in -
1. Hypothyroidism
2. Hyperthyroidism
3. Hypoparathyroidism
4. Hyperparathyroidism

Correct answer: 4. Hyperparathyroidism

Explanation: Brown's tumor is seen in hyperparathyroidism